Which of the following enzymes are involved in bone formation?
1. Alkaline phosphatase and urease
2. Catalase and phosphorylase
3. Alkaline phosphatase and phosphorylase
4. Acid phosphatase and catalase

Correct answer: 3. Alkaline phosphatase and phosphorylase